The electrostatic precipitator are used in the prevention of-
1. Radiation risks
2. Air pollution emissions
3. Mosquito nuisance
4. Diffuse vibrations

Correct answer: 2. Air pollution emissions

Explanation: Ans. is 'b' i.e., Air pollution emissions Dcv ices commonly used as air pollution control device :? Mechanical collector (dust cylones, Multicylones) Electostatic precipitators Baghouses Particulate scrubbers.